Tendon are made up of:
1. Collagen fibres
2. Elastin
3. Keratin
4. Myofibrils

Correct answer: 1. Collagen fibres

Explanation: Dense Regular Connective Tissue In this type of tissue, the collagen fibres are densely packed, and arranged in parallel. This type of tissue is found in ligaments (which link bone to bone at joints) and tendons (connections between bones or cartilage and muscle). These are powerfully resistant to axially loaded tension forces, but allow some stretch.